Vascular repair to be done in which Gustilo Anderson type?
1. Inc
2. I
3. II
4. IlIb

Correct answer: 1. Inc

Explanation: Ans. is 'a' i.e., Mc Treatment of Open Fractures Gustilo's classification of open fractures : Type I Small clean puncture wound with/ without protruded bone spike. Low energy non-comminuted fracture(low energy trauma). Little soft tissue injury with no crushing. Type II More than 1 cm long wound. Moderate soft tissue damage and crushing. Low to moderate energy trauma with moderate comminution. Type III Large laceration, skin flap, crushing. IIIA: fractured bone can be adequately covered by soft tissue despite laceration. IIIB: extensive periosteal stripping and fracture cover is not possible without use of local or distant flaps. IIIC: associated arterial injury that needs to be repaired regardless of the amount of other soft tissue damage.